Which is not a S/E of Cimetidine ?
1. Impotence
2. Gynaecomastia
3. Atrophic gastritis
4. Galactorrhea

Correct answer: 3. Atrophic gastritis

Explanation: Ans. is 'c' i.e., Atrophic gastritis